Bead cystogram is used for the diagnosis of:
1. Ca bladder
2. Stress incontinence
3. Thimble bladder
4. Diverticulum

Correct answer: 2. Stress incontinence

Explanation: Stress incontinence